Haemophilus influenzae has been isolated from the CSF of two year old boy suffering from meningitis. The strain is beta-lactamase producing and resistant to chloramphenicol. The most appropriate antimicrobial in such a situation is -
1. Trimethoprim-sulphamethoxazole combination
2. Ciprofloxacin
3. Third-generation cephalosporin
4. Vancomycin

Correct answer: 3. Third-generation cephalosporin

Explanation: Ans. is 'c' i.e., Third generation cephalosporins DOC for H. influenzae meningitis Cs --> Third generation cephalosporin.